Inhibin inhibits the secretion of which hormone :
1. FSH
2. LH
3. Estrogen
4. Prolactin

Correct answer: 1. FSH

Explanation: FSH